Which of the following is coagulase-negative staphylococcus?
1. Staph. aureus
2. Staph. epidermidis
3. Staph. Intermedius
4. Staph. Hyicus

Correct answer: 2. Staph. epidermidis

Explanation: Coagulase-positive StaphylococciBesides Staph.aureus, few others are coagulase positive like Staph.intermedius and Staph.hyicusCoagulase-negative StaphylococciStaph.epidermidis; Staph.hemolyticus and Staph.saprophyticusRef: Ananthanarayan; 7th edition; Page no: 200